Not true about Pseudogout
1. Periarticular calcification
2. Calcium pyrophosphate deposition
3. Associated with hypothyroidism
4. Associated with hypoparathyroidism

Correct answer: 4. Associated with hypoparathyroidism